Hematoma of the sternomastoid muscle detected in a 16 days old infant requires :
1. Immediate surgical evacuation
2. Surgical Intervention within 2 weeks
3. Prophylactic antibiotic therapy
4. No immediate therapy

Correct answer: 4. No immediate therapy

Explanation: Sternocleidomastoid hematome usually appears 7-10days after birth and is usually situated midposition of the muscle. This is a firm swelling of the sternomastoid muscle.It is related to streching of the muscle in difficult breech delivery or attempted delivery following shoulder dystocia or excessive lateral flexion if neck during normal delivery and subsequent bleeding.It may produce torticolis.The treatment is physiotherapy by streching in the opposite direction to prevent premature contracture. Refer page no 553 of Text book of obstetrics ,sheila balakrishnan,2 nd edition.